Podophyllin is used to treat which type of wart ?
1. Plantar wart
2. Genital wart
3. Verruca Wart
4. All of the above

Correct answer: 2. Genital wart

Explanation: Ans. is 'b' i.e., Genital wart